All of the following are autosomal dominant, except:
1. Familial hypercholesterolemia
2. Congenital adrenal hyperplasia
3. Achondroplasia
4. Acute intermittent porphyria

Correct answer: 2. Congenital adrenal hyperplasia

Explanation: Ans. b. Congenital adrenal hyperplasia Autosomal dominant "Very Powerful DOMINANT Humans" V- Von willibrands disease/ Von hippel lindau P - Pseudo hypoparathyroidism D - Dystrophia myotonica O - Osteogenesis imperfecta/Osler-weber-rendu M - Marfans syndrome I - Intermittent porphyria N - Neurofibramatosis A - Achondroplasia, Adult polycystic kidney disease N - Noonans syndrome T- Tuberous sclerosis H - Hypercholestrolemia H - Huntington's disease H - Hypertrophic obstructive cardiomyopathy H - Hereditary spherocytosis H - Hereditary non polyposis coli H - Hereditary hemorrhagic telengiectasia